Tuberculin test denotes
1. Previous or present sensitivity to tubercle proteins
2. Patient is restant to tuberculosis
3. Person is susceptible to tuberculosis
4. Protective immune status of individual againts tuberculosis

Correct answer: 1. Previous or present sensitivity to tubercle proteins

Explanation: A positive reaction to the tuberculin test is generally accepted as evidence of past or present infection of M.tuberculosis . Ref: PARK'S TEXTBOOK OF PREVENTIVE AND SOCIAL MEDICINE 23rd edition , Page :185